1% w/v of methylene blue is injected intravenously into the tissue to reverse the toxic effects of
1. Methaemoglobinemia
2. Oxygen toxicity
3. Crohn's disease
4. Lidocaine toxicity

Correct answer: 1. Methaemoglobinemia